In caloric test left jerk nystagmus occurs when:
1. Cold water is poured in right ear
2. Hot water is poured in right ear
3. Cold water is poured in left ear
4. All of the above

Correct answer: 1. Cold water is poured in right ear

Explanation: Ans. Cold water is poured in right ear